Chemical regulation of respiration is not affected by
1. pH
2. BP
3. pO2
4. pCO2

Correct answer: 2. BP

Explanation: The chemical control of breathing is aimed at maintaining the PCX and PCO2 of arterial blood at about 95 mm Hg and 40 mm Hg, respectively.
Chemical signals which regulate respiration are sensed by respiratory chemoreceptors. Respiratory chemoreceptors are sensory receptors for detection of PO2 PCO2 and pH of blood. Their location may be central ( within the CNS) or peripheral (in the PNS). They bring about reflex changes in the rate and depth of respiration in response to change in PO2 PCO2 and pH. The response to changes in PO2 (hypoxia) is mediated entirely by peripheral chemoreceptors, whereas the response to hypercapnia ( ↑ PCO2) and academia (↓ pH) is mediated mainly (75%) by central chemoreceptors and partly (25%) by peripheral chemoreceptors.